Anterior fontanelle closes at ?
1. 2-3 months
2. 4-7 months
3. 9-12 months
4. 18-24 months

Correct answer: 4. 18-24 months

Explanation: Ans. is `d' i.e., 18-24 months